Epididymis is covered by:
1. Tunica vaginalis
2. Tunica vsaculosa
3. Tunica albuginea
4. None of the above

Correct answer: 1. Tunica vaginalis

Explanation: The epididymis is invested by tunica vaginalis, somewhat less closely applied than it is to the testis, except at its posterior margin. Ref: Gray's anatomy 40th edition, Chapter 97.